In E.coli, Arthur Kornberg found which enzyme?
1. Fatty acid synthase
2. DNA polymerase
3. Topoisomerase
4. Glucose 6 phosphate dehydrogenase

Correct answer: 2. DNA polymerase

Explanation: DNA Polymerase: This enzyme synthetase a new comlementary strand of DNA , by incorporating dNMP sequentially in 5' to 3' direction ,making use of single stranded DNA as template. Bacterial DNA Polymerases : In bacteria there are 5 polymerases. Arthur Konberg isolated the DNA polymerase I from E.coli. It is a repair enzyme. It has both 3' to 5' and 5' to 3' exonuclease acitivities.When 5' to 3' exonuclease domain removed , the remaining fragment retains the polymerization and profreading activities ;it is then called as KIENOW FRAGMENT . It is widely used in recombinant DNA technology. Bacterial polymaerse III is the main replication enzyme in bacteria. It has beta , gamma ,delta and delta' units MAMMALIAN DNA POLYMERASES : In mammalian cells (eukaryotic0, there are 5 DNAPs, named a,b,g,d and e. Alpha polymerase polymerizes about 100 nucleotides per second . It is major enzyme which synthesizes okazaki fragments. DNAP delta is mainly resposible for leading strand synthesis and also elongates the okazki fragments. REF :DM VASUDEVAN TEXTBOOK ; 7th EDITION ; Page no: 580.